Widmark Formula is used for
1. Opium
2. Cannabis
3. Alcohol
4. Amphetamine

Correct answer: 3. Alcohol

Explanation: C i.e. Alcohol The neuropathological lesion of wernicke - Karsakoff syndrome are symmetrical & paraventricular, involving the mammillary bodyQ, the thalamus, hypothalmus, mid brain, pons, medulla, fornix & cerebellum. Mc Ewan's sign & morbid jealousy is seen in alcohol abuse, and Widmark formula is used to determine the quantity of alcohol taken by person.